False about alcohol in disinfection is -
1. Ethanol is used
2. Isopropyl alcohol is used
3. Has sporicidal activity
4. Has bactericidal activity

Correct answer: 3. Has sporicidal activity

Explanation: Alcohols: ethyl alcohol and isopropyl alcohol are the most frequently used. they are used mainly as skin antiseptics and act by denaturing bacterial proteins. They have no action on spores to be effective they must be used at a concentration of 60-90 percent in water. Protein slows its action whereas 1%mineral acid or alkaline enhances it. Isopropyl alcohol preferred as it is a better fat solvent more bactericidal and less volatile. It is used for the disinfection of clinical thermometers. methyl alcohol is very effective against fungal spores and is used for treating cabinets and incubator affected by them. The insides of the chambers are wiped with a liberal amount of methanol. A pad moistened with methanol and a dish of water are kept inside and the incubator is left at working temperature for several hours. Methyl alcohol vapor is toxic and inflammable REF:Ananthanarayan & Panicker's Textbook of Microbiology 8th pg no:36